Inheritance pattern of ABO blood group system is
1. Pseudodominance
2. Autosomal dominant
3. Autosomal recessive
4. Codominance

Correct answer: 4. Codominance

Explanation: harshmohan textbook of pathology 7th edition ABO blood grouping shows codominance as both alleles of a gene pair are expressed in heterozygous state